Which of the following is NOT TRUE about Eponymous fracture?
1. Monteggia fracture is fracture of the proximal third of the ulna with radial head dislocation
2. Galeazzi fracture is fracture of the distal third of the radius with dislocation of the distal radio-ulnar joint
3. Colles fracture is fracture at cortico-cancellous junction of the distal end of the radius with dorsal tilt
4. Potts fracture is a trimalleolar ankle fracture

Correct answer: 4. Potts fracture is a trimalleolar ankle fracture

Explanation: An eponym is the name of a person, whether real or fictitious, after which a particular place, tribe, era, discovery, or other item is named or thought to be named. One who is referred to as eponymous is someone who gives his or her name to something. "Pott's fracture is bimalleolar fracture of ankle, trimalleolar fracture of ankle is called cotton's fracture" All other eponymous fractures are correctly defined. Ref: Maheshwari 3/e, Page 2-3.